Which of the following amino acid is used in biosynthesis of purines?
1. Alanine
2. Glycine
3. Threonine
4. Ornithine

Correct answer: 2. Glycine

Explanation: Purine Pyrimidine